A mother is HB&;sAg positive at 32 weekds of pregnancy. What should be given to the newborn to prevent neonatal infection -
1. Hepatitis B vaccine + immuniglobulins
2. Immunoglobulins
3. Hepatitis B vaccine only
4. immunoglobulin followed by vaccine 1 month later

Correct answer: 1. Hepatitis B vaccine + immuniglobulins

Explanation: Hepatitis B vaccine and immunoglobulins are given to the newborn to prevent infection. Reference:Park's textbook of preventive and social medicine,K.Park,23rd edition,page no:216.